The term universal tumour refers to -
1. Adenoma
2. Papilloma
3. Fibroma
4. Lipoma

Correct answer: 4. Lipoma

Explanation: Ans. is 'd' i.e., Lipomao A lipoma is a benign tumor composed of adipose tissue (body fat). It is the most common benign form of soft tissuetumor.o Lipomas are soft to the touch, usually movable, and are generally painless. Many lipomas are small (under one centimeter diameter) but can enlarge to sizes greater than six centimeterso Lipomas are commonly found in adults from 40 to 60 years of age, but can also be found in younger adults and children.o It is also known as universal tumourOther conditionso Lipomatosis is believed to be a hereditary condition in which multiple lipomas are present on the bodyo Adiposis dolorosa (Dercum disease) is a rare condition involving multiple painful lipomas, swelling, and fatigue. Early studies mentioned prevalence in obese postmenopausal women. However, current literature demonstrates that Dercum disease is present in more women than men of all body types; the average age for diagnosis is 35 years.o Benign symmetric lipomatosis (Madelung disease) is another condition involving lipomatosis. It nearly always appears in middle-aged males after many years ofalcoholism. But, non-alcoholics and females can also be affected.Treatmento Usually, treatment of a lipoma is not necessary, unless the tumor becomes painful or restricts movement. They are usually removed for cosmetic reasons, if they grow very large, or for histopathology to check that they are not a more dangerous type of tumor such as a liposarcoma..o Lipomas are normally removed by simple excision. This cures the great majority of cases, with about 1-2% of lipomas recurring after excision.o Liposuction is another option if the lipoma is soft and has a small connective tissuecomponent. Liposuction typically results in less scarring; however, with large lipomas it may fail to remove the entire tumor, which can lead to regrowth.